The following is an X-linked mucopolysaccharidoses:
1. Hurler's syndrome
2. Hunter's syndrome
3. Scheie's syndrome
4. Sanfilippo's syndrome

Correct answer: 2. Hunter's syndrome

Explanation: b. Hunter's syndrome(Ref: Nelson's 20/e p 737-743, Ghai 8/e p 661)All mucopolysaccharidoses are autosomal recessive except Hunter's disease which is inherited as X-linked recessive.